Shelf life of gamma irradiated pRBC is
1. 21 days
2. 28 days
3. 35 days
4. 42 days

Correct answer: 2. 28 days

Explanation: Irradiation reduces RBC storage shelf life to not >28 days postirradiation depending on the time of irradiation relative to collection. Irradiation followed by refrigerator storage causes a higher concentration of in the product. To avoid wastage of RBC units, irradiation prior to issue is optimal. Ref baley and love 27 pg 17-18